Which of the following is not associated with increase in the risk of seizures in future in a child with febrile seizures
1. Developmental delay
2. Late age of onset
3. Complex partial seizures
4. Family history positive

Correct answer: 2. Late age of onset

Explanation: Risk factors of recurrence of simple and complex febrile seizures are : 1. Early age of onset ( less than 15 months ) 2. Epilepsy or fevers in 1st degree relatives 3. Frequent fevers and low temperature at the Onset of febrile seizure -The risk of developing epilepsy is higher if the seizure are atypical , EEG is persistently abnormal , if the child has abnormal neuro- development or a family history of epilepsy. -Complex partial seizures may manifest after several years of prolonged atypical febrile convulsions. Ref : Ghai , 8th edition; pg no : 557